Laryngeal papilloma-
1. Single
2. Multiple
3. Seen in children
4. All

Correct answer: 4. All

Explanation: Ans. is 'a' i.e., Single; 'b' i.e., Multiple & 'c' i.e., Seen in children Laryngeal papilloma o Most common benign tumor of larynx Single or multiple irregular, wart like glottic masses. HPV-6 & 11 may be the causative factor. Treatment is with CO2 laser ablation. a-IFN and indole - 3 - carbinole may also be used.